Swiping of oral cavity not to be done in foreign body ingestion in children because
1. Oral cavity small and inability to clear
2. Leads to in adveently pushing of foreign body deep into respiratory system
3. Should be done
4. None of the above

Correct answer: 2. Leads to in adveently pushing of foreign body deep into respiratory system

Explanation: Airway obstruction is treated with a sequential approach, startingwith the head-tilt/chin-lift maneuver to open and support the airway, followed by inspection for a foreign body, and finger-sweep clearance or suctioning if one is visualized. Blind suctioning or finger sweeps of the mouth are not recommended. A nasopharyngeal airway or oropharyngeal airway can be inserted for airway support if indicated.A conscious child suspected of having a partial foreign-bodyobstruction should be permitted to cough spontaneously until coughing is no longer effective, respiratory distress and stridor increase, or the child become unconscious.(Refer: Nelson's Textbook of Pediatrics, SAE, 1st edition, pg no. 492)